Which of the following causes increase in conduction velocity of impulse through heart ?
1. Vagal stimulation
2. Parasympathetic stimulation
3. Sympathetic stimulation
4. All of the above

Correct answer: 3. Sympathetic stimulation

Explanation: Ans. is 'c' i.e., Sympathetic stimulationEffects of sympathetic stimulation are :i) Heart :- positive chronotropic (1' heart rate), ii) Positive ionotropic (1' contractility), iii) Positive dromotropic (1' conduction velocity), iv) Positive bathmotropic (increased automaticity), v) Decreased refractory period in all cardiac cells.ii) Vasoconstriction :- RTT total peripheral resistance (due to arteriolar constriction), venous capacitance (due to venoconstriction)iii) Increased stroke volume, cardiac output and BP.Effects of parasympathetic stimulation are :?i) Negative chronotropic (decreased heart rate) : - Vagal stimulation cause decrease in slope (flattening) of prepotential (pacemaker potential) and therefore the time taken to reach the threshold levelis increased --> Heart rate is decreased.ii) Negative dromotropic (decreased conduction).iii) Increased refractory period of all type of cardiac cells.